Superior relationship of omental foramen is
1. Hepatoduodenal ligament
2. Inferior vena cava
3. Caudate lobe of liver
4. 1st part of duodenum

Correct answer: 3. Caudate lobe of liver

Explanation: Omental foramen(epiploic foramen, foramen of Winslow ) has following border: anterior: the free border of the lesser omentum, known as the hepatoduodenal ligament. This has two layers and within these layers are the common bile duct, hepatic artery, and hepatic portal vein. posterior: the peritoneum covering the inferior vena cava superior: the peritoneum covering the caudate lobe. of the liver. inferior: the peritoneum covering the commencement of the duodenum and the hepatic artery, the latter passing forward below the foramen before ascending between the two layers of the lesser omentum. left lateral: gastrosplenic ligament and splenorenal ligament. ref - BDC 6e vol2 pg240